Village–health guide scheme is not present in –
1. Karnataka
2. JK
3. Tamilnadu
4. All of the above

Correct answer: 4. All of the above

Explanation: Village Health guides scheme

The village health guide scheme was introduced on 2nd October 1977.
The Scheme was launched in all states except Kerala, Karnataka, Tamilnadu, Arunachal Pradesh and Jammu & Kashmir.